Which of the following anti–tubercular agent does not cause hepatotoxicity ?
1. Isoniazid
2. Rifampicin
3. Ethambutol
4. Pyrazinamide

Correct answer: 3. Ethambutol